Which of the following urea cycle intermediate is the link between urea cycle and TCA cycle?
1. Argininosuccinate
2. Fumarate
3. Oxaloacetate
4. Succinate

Correct answer: 2. Fumarate

Explanation: Ans. b) Fumarate is the link between urea cycle and TCA cycle Urea Bicycle = Urea cycle + TCA cycle Both are independent cycles but are linked. 1 nitrogen in the urea is obtained from the aspartate obtained by transamination of oxaloacetate produced in TCA cycle (See fig) The fumarate that is produced in urea cycle can be used as an intermediate in the citric acid cycle.